The best surgical treatment for chronic maxillary sinusitis is:
1. Repeated antral washout
2. Fiberoptic endoscopic sinus surgery
3. Caldwell-Luc's operation
4. Horgan's operation

Correct answer: 2. Fiberoptic endoscopic sinus surgery

Explanation: CHRONIC MAXILLARY SINUSITIS 1. Antral puncture and irrigation. Sinus cavity is irrigated with a cannula passed through the inferior meatus. Removal of pus and exudates helps the sinus mucosa to revert to normal. 2. Intranasal antrostomy. It is indicated if sinus irrigations fail to resolve infection. A window is created in the inferior meatus to provide aeration to the sinus and its free drainage. 3. Caldwell-Luc operation. In this operation, antrum is entered through its anterior wall by a sublabial incision. All irreversible diseases are removed and a window is created between the antrum and inferior meatus. Ref: Dhingra 7e pg 219